All of the following are chromosomal breakage syndromes except -
1. Fanconi's anaemia
2. Ehler-Danlos syndrome
3. Bloom syndrome
4. Ataxia telengiectasia

Correct answer: 2. Ehler-Danlos syndrome